All except one are true about post-neuraxial anaesthesia shivering
1. Shivering increases intra–ocular and intra cranial pressures
2. i.v meperidine is used in treatment
3. Marked increase in plasma catecholamines cause cardiovascular complications
4. Is associated with decreased oxygen consumption

Correct answer: 4. Is associated with decreased oxygen consumption

Explanation: Shivering markedly increases oxygen consumption and carbon dioxide production.